Systemic desensitization therapy is used for -
1. Phobia
2. Depression
3. Schizophrenia
4. Organic brain syndrome

Correct answer: 1. Phobia

Explanation: Systemic desensitization is used for phobia & OCD.